Endemic ascites caused by:-
1. Aflatoxin
2. Pyrrolizidine
3. Sanguinarine
4. Ergot alkaloid

Correct answer: 2. Pyrrolizidine

Explanation: Endemic ascites was reported in the Nagesia tribes of Madhya Pradesh, which presented as a rapidly developing jaundice and ascites, with over 40% mortality. It occurred due to contamination of Gondhli or Panicum miliare millet by the weed seeds of Crotalaria or Jhunjhunia, which contained Pyrrolizidine alkaloids which are hepatotoxic.